Which of the enzyme of glycolysis is a part ofgluconeogenesis ?
1. Pyruvate kinase
2. PFK
3. Hexokinase
4. Phosphoglycerate kinase

Correct answer: 4. Phosphoglycerate kinase

Explanation: Ans. is 'd' i.e., Phosphoglycerate kinase Seven of the reactions of glycolysis are reversible and are used in the synthesis of glucose by gluconeogenesis. Thus, seven enzymes are common to both glycolysis and gluconeogenesis: (i) Phosphohexose isomerase; (ii) Aldolase; (iii) Phosphotriose isomerase, (iv) Glyceraldehyde 3-phosphate dehydrogenase; (v) Phosphoglycerate kinase; (vi) Phosphoglycerate mutase; (vii) Enolase. Three reactions of glycolysis are irreversible which are circumvented in gluconeogenesis by four reactions. So, enzymes at these steps are different in glycolysis and gluconeogenesis. Reactions Enzyme in glycolysis Enzyme in gluconeogenesis Glucose - Glucose-6-P Hexokinase/glucokinase Glucose-6-phosphatase Fructose-6-P - Fructose- I ,6-BP Phosphofructokinase Fructose-1-6-bisphosphatase Phosphoenolpyruvate - Pyruvate Pyruvate kinase Pyruvate carboxylase PEP carboxykinase